Which of the following is most likely the diagnosis of 27years old obese woman presenting with Oligomenorrhea, infertility and hirsutism
1. Polycystic ovaries
2. Endometriosis
3. Pelvic inflammatory disease
4. Turner's syndrome

Correct answer: 1. Polycystic ovaries

Explanation: PCOD ( Stein leventhal syndrome) Basic pathology of PCOD is excessive androgen synthesis leads to Leads to hirsutism Peripheral aromatisation Alters lipid profile LDL /HDL Because of peripheral aromatisation causes conversation to oestrogen leading to Increased LH ( oestrogen has positive feedback on LH) LH is tonically elevated throughout the cycle This causes stimulation of the a cells leading to the a cell hypertrophy And excessive androgen production ( hirsutism , infertility, amenorrhea) And drecreased FSH ( oestrogen has negative feedback on FSH) Leading to anovulation and decrease progesterone levels leading to Oligomenorrhea These changes may affect endometrium leading to endometrial hyperplasia in further causing endometrial cancer Due to altreation of lipid profile may lead to further heart diseases in future Ref Shaw 15/e pg 371